The posterior gastric artery is a branch of -
1. Left gastric artery
2. Right gastric artery
3. Splenic artery
4. Hepatic artery

Correct answer: 3. Splenic artery

Explanation: The posterior gastric artery is an unusual branch of splenic artery arising from mid third of the splenic artery.